An 18-year-old man is rushed to the emergency room in shock following a motor vehicle accident. He is transfused with 5 U of blood. Following the transfusion the patient complains of fever, nausea, vomiting, and chest pain. Laboratory data show elevated indirect serum bilirubin, decreased serum haptoglobin, and a positive Coombs test. Which of the following is the most likely diagnosis?
1. Autoimmune hemolytic anemia
2. Disseminated intravascular coagulation
3. Hemolytic transfusion reaction
4. Hemolytic uremic syndrome

Correct answer: 3. Hemolytic transfusion reaction

Explanation: Hemolytic transfusion reaction occurs when grossly incompatible blood is administered to patients with preformed alloantibodies. -Acute reaction -usually because of clerical errors. C/F- High grade fever Chills Rigors Flank Pain Oozing of blood from venepuncture Massive hemolysis of the transfused blood may be associated with severe complications, including hypotension, renal failure, and even death. Disseminated intravascular coagulation and Hemolytic uremic syndrome are not characterized by a positive Coombs test. Autoimmune hemolytic anemia is not related to blood transfusions.